Amrinone acts by-
1. Inhibiting phosphodiesterase
2. ATPase inhibitor
3. Calcium channel blocker
4. IC/ channel opener

Correct answer: 1. Inhibiting phosphodiesterase

Explanation: Ans. is 'a' i.e., Inhibiting phosphodiesterase o Amrinone inhibits phosphodiesterase III